Expectant line of management in placenta praevia is contraindicated in:
1. Pre term foetus
2. Live foetus
3. Breech presentation
4. Active labour

Correct answer: 4. Active labour

Explanation: Active Interference
The indication of active treatment in placenta previa are:

Bleeding is continuing
Baby is dead or known to be congenitally deformed
Bleeding occurs at or beyond 38 weeks of pregnancy
Patients is in emarginated state on admission
Patient is labour.